A hypertensive patient has heart rate of 50 beats/min and taking tablet atenolol 200 mg/day in divided doses. After anaesthesia, heart rate further fell down to 40 beats/min. What will be the appropriate treatment to improve heart rate:
1. IV adrenaline
2. IV atropine
3. IV isoprenaline
4. Dobutamine infusion intravenously

Correct answer: 2. IV atropine